The most frequently implicated antibiotic among the causes of drug induced liver injury is:
1. Tetracycline
2. Amoxicillin-clavulanic acid
3. Erythromycin
4. Nalidixic acid

Correct answer: 2. Amoxicillin-clavulanic acid

Explanation: Amoxicillin-clavulanic acid : The most frequently implicated antibiotic among cases of drug-induced liver injury. Reference: Harrisons Principles of Internal Medicine, 18th Edition, Page 2560